Girl 2 yrs coming with bosselated erythematous lesion on right cheek, what is treatment of choice?
1. Pulse dye laser
2. NdYAG
3. CO2 / Yetterium
4. Switched ruby laser

Correct answer: 1. Pulse dye laser

Explanation: The diagnosis is Port wine stain of sturges weber syndrome and the answer is Pulse dye laser (PDL). Table 24.13 Laser types and selective absorption Laser Wave length (nm) Specific* Application Er: YAG 294 Water Skin resurfacing PDL 585 Hb Vascular lesions Nd: YAG Long pulse 595-600 Hb, Melanin Leg veins Long pulse 694 Hair removal Nd:YAG 1064 Hb Deep vascular Q-switched YAG 1064 Pigment Tattoo removal CO2 10600 Water Coagulation/ resurfacing